Korsakoff's psychosis is seen in -a) CRFb) Alcohol withdrawalc) Marasmusd) Cirrhosis
1. a
2. ac
3. ad
4. b

Correct answer: 2. ac

Explanation: Wernicke - Korsakoff syndrome (WKS) is due to deficiency of thiamine which can be precipitated by chronic alcoholism (most common), malnutrition (marasmus) due to prolonged starvation, hyperemesis gravidarum, HIV - AIDS, bariatric surgery, hemodialysis for CRF, prolonged intravenous hyperalimentation, and malignancies (gastric carcinoma).

Note - It is chronic alcohol abuse that causes WKS (not alcohol withdrawal) :- option b.